Treatment of choice for a slow developing mass in tail of parotid gland in a 40 year old male is ?
1. Radical parotidectomy
2. Superficial Parotidectomy
3. Superficial Parotidectomy with neck dissection
4. Enucleation

Correct answer: 2. Superficial Parotidectomy

Explanation: Treatment of choice for pleomorphic Adenoma In parotid gland : Superficial parotidectomy In other salivary glands : Excision of the affected gland Treatment of Salivary gland Tumors Surgery Principle treatment of cancer of salivary glands is surgical excision, used either as a single modality or in most cases, in conjunction with adjuvant therapy Parotid Malignancies Superficial parotidectomy with preservation of facial nerve Total parotidectomy with nerve preservation if deep lobe is involved Other salivary glands En-bloc excision of tumor (Involved gland) Neck dissection for lymph nodes : In clinically palpable nodes and high grade malignancies Radiotherapy Indications of radiotherapy in Salivary Gland Tumors High grade tumors Large primary lesions Perineural invasion Bone invasion Cervical LN metastasis Positive surgical margins No role of chemotherapy in salivary gland Tumors due to incomplete and short lived response without any survival advantage Ref: Bailey and love 27th edition Pgno :789